Which of the following is a test for brucellosis ?
1. Milk ring test
2. Stomach bowel test
3. Rose wailer test
4. Paul bunnel test

Correct answer: 1. Milk ring test

Explanation: Ans. is 'a' i.e., Milk ring test Tests for detection of brucellosis in herds of cattle. 1) Rapid plate agglutination test 2) Rose bengal card test Tests to detect antibodies in milk. 1) Milk ring test 2) Whey agglutination test